Autosomal dominant is -
1. G6PD deficiency
2. Hirshsprung disease
3. Neurofibromatosis
4. Vitamin D resistant rickets

Correct answer: 3. Neurofibromatosis

Explanation: Ans. is 'c' i.e., Neurofibromatosis Autosomal dominant disordersNervousUrinaryGITHematologicalSkeletalMetabolico Huntington diseaseo Polycystic kidneyo Familial polyposis colio Heriditarv spherocytosiso Marfan syndromeo Familial hypercholesterolemiao Neurofibro-matosiso Gardner's syndromeo Von-Willibrand diso EDS (some variant)o Acute intermittent porphyriao Turcot's syndromeo Myotonic dystrohvo Lynch syndromeo Osteogenesis imperfecta o Peutz Jagher's syndromeo Tuberous sclerosiso Achondroplasiao Juvenile polyposiso Retinoblastoma